Beta lactam antibiotics act by inhibiting
1. Cell wall synthesis
2. Protein synthesis
3. RNA synthesis
4. DNA synthesis

Correct answer: 1. Cell wall synthesis